Isotonic solution which supplies calories but not electrolytes:
1. 5% dextrose.
2. 0.9% Nacl solution.
3. Ringer's Lactate solution.
4. Darrow's solution.

Correct answer: 1. 5% dextrose.